Biotin deficiency is due to
1. Avidin
2. Flavoproteins
3. Metallo flavoproteins
4. Oxireductase

Correct answer: 1. Avidin

Explanation: (Avidine) (146 - U.S 3rd) (178- R.S. 7th)Biotin deficiency (anti egg, white injury factor, vitamin B7 or vitamin - H) is a sulfur containing B complex. It is directly participates as coenzyme in the carboxylation reactions* High consumption of raw egg. The raw egg white contains a glycoprotein - avidin. Which is highly binds with biotin and blocks its absorption from the intestine.